Confounding factors can be eliminated by all except-
1. Matching
2. Randomization
3. Ethical consideration
4. Stratification

Correct answer: 3. Ethical consideration

Explanation: Ans. is 'c' i.e., Ethical consideration o Methods to eliminate confounding factors i) Randomization (Best) iii) Matching v) Stastical modeling ii) Restriction iv) Stratification Methods to eliminate bias i) Randomization ii) Blinding